A farmer has an ulcer on the leg with indurated margin and multiple sinuses with discharging granules. The likely diagnosis is -
1. Mycetoma
2. Scrofuloderma
3. Lupus vulgaris
4. Actinomycosis

Correct answer: 1. Mycetoma

Explanation: Mycetoma (Maduramycosis)

Is a localized chronic granulomatous involvement of the subcutaneous and deeper tissues, commonly affecting the foot and less often the hand and other parts.
Presenting as a subcutaneous swelling with multiple discharging sinuses.
Sinuses discharge seropurulent fluid containing granules.
These granules are microcolonies of the etiological agents.
A similar condition called botryomycosis is caused by Staphylococcus aureus.